All are seen in norma basalis except
1. Mental foramen
2. Foramen magnum
3. Foramen ovale
4. Foramen Lacerum

Correct answer: 1. Mental foramen

Explanation: The foramen passing through norma basalis are; 1.Greater palatine foramen 2.Lesser palatine foramen 3.Foramen spinosum 4.Foramen ovale 5.Emissary sphenoidal foramen or foramen of Vesalius 6.Foramen lacerum 7.Jugular foramen 8.Foramen magnum NOTES: Mental foramen is present on the outer surface of the mandible. The mental foramen lies below the interval between the premolar teeth. Ref BDC volume3,Sixth edition pg 13